Melon seed bodies are found in which of the following condition?
1. Chondrocalcinosis
2. Gout
3. Tuberculous tenosynovitis
4. Osteoarthritis of the wrist

Correct answer: 3. Tuberculous tenosynovitis

Explanation: Rice bodies, millet bodies' and 'melon seeds' are highly suggestive of compound palmar ganglion caused by TB and RA.
So, Rice bodies, millet bodies and melon seeds are seen in tubercular and rheumatoid tenosynovitis.